A patient presents to the emergency department of AIIMS with the most severe headache of his life. What should be done next?
1. Contrast enhanced computed tomography (CT)
2. Noncontrast CT
3. Magnetic resonance imaging (MRI)
4. Lumbar puncture (LP)

Correct answer: 2. Noncontrast CT

Explanation: ANS. B* Investigation of choice in subarachnoid hemorrhage (SAH): Noncontrast CT* Investigation of choice in aneurysm: DSA* Investigation which can diagnose ischemia in brain earliest: MRI (diffusion weighted imaging, within 3-30 minutes)* First imaging investigation to be done in a patient with suspected stroke: Noncontrast CT.